Tildrakizumab was approved by FDA in 2018 for
1. Cystic fibrosis
2. Migraine
3. Hypertension
4. Psoriasis

Correct answer: 4. Psoriasis

Explanation: Tildrakizumab was approved by FDA in 2018 to treat adults with moderate-to-severe plaque psoriasis who are candidates for systemic therapy or phototherapy